According to the Bismuth/Strasberg classification ' Cystic blow out' is classified as
1. TYPE A
2. TYPE B
3. TYPE C
4. TYPE D

Correct answer: 1. TYPE A

Explanation: Strasberg classification  Class A: Bile leak from the cystic duct or an accessory duct showing continuity with the common bile duct  Class B: Section/injury of an accessory duct/sectorial ducts aberrant right hepatic duct with no continuity with the common bile duct with occlusion  Class C: Leak/open drainage from a sectorial duct/aberrant right hepatic duct with no continuity with the common bile duct  Class D: Partial section/lateral injury of an extrahepatric duct bile duct with no complete loss of continuity with the rest of the bile duct system  Class E: Complete section/circumferential injury of the bile duct with subtypes according to the length of the stump at various levels - E1- Stricture/injury at more than 2 cm distal to bifurcation. - E2 - Stricture/injury less than 2 cm distal to bifurcation. - E3 - Stricture/injury at bifurcation - E4 - Stricture/injury involving right and left hepatic ducts - E5 - Complete obstruction of entire bile duct Note: Only right and left partial injuries are not included in this classification SRB's Manual of Surgery, 4th Edition, pg. no. 708